Fordyce's spot involves –
1. Sebaceous glands
2. Pilosebaceous glands
3. Hair
4. Nails

Correct answer: 1. Sebaceous glands

Explanation: Diseases of sebaceous glands

Pilosebaceous glands          →       Acne vulgaris, Epidermoid (sebaceous) cyst.
Ectopic sebaceous glands    →   Fordyce's spot, Montgomery's tubercle